A female patient is having diarrhea and abdominal distension. Small intestinal biopsy shows villous atrophy and crypt hyperplasia. Diagnosis is ?
1. Celiac sprue
2. Tropical sprue
3. Whipples disease
4. Hirchsprung's disease

Correct answer: 1. Celiac sprue

Explanation: Ans. is 'a' i.e., Celiac sprueo Villous atrophy with crypt hyperplasia is characteristic of celiac disease (See previous explanations).